All of the following ocular structures are derived embryologically from the neuroectoderm except:
1. Epithelial layers of ciliary body and iris
2. Sphincter and dilator pupillae muscles
3. Optic nerve
4. Optic nerve sheaths

Correct answer: 4. Optic nerve sheaths

Explanation: Ans. Optic nerve sheaths